Which of the following drug is not used for the overactive bladder
1. Duloxetine
2. Darifenacin
3. Oxybutynin
4. Flavoxate

Correct answer: 1. Duloxetine

Explanation: Refer Goodman and Gilman 12e 231,232 Anticholinergic drugs are indicated for overactive bladder and darifenacin, solefenacin,oxybutynin,tolterodine and fesoteradine are commonly used for this condition .